Superficial partial thickness burn is caused due to involvement of:
1. Epidermis
2. Papillary dermis
3. Reticular dermis
4. Dermis

Correct answer: 2. Papillary dermis

Explanation: First-degree (superficial) burns: Involves only the epidermis The burn site is red, painful, dry, and with no blisters. Second-degree (partial thickness) burns: Second-degree burns involve the epidermis and part of the upper (papillary) dermis layer of skin. The burn site appears red, blistered, and may be swollen and painful. Third-degree (full thickness) burns: Third-degree burns destroy the epidermis and dermis and may go into the subcutaneous tissue. The burn site may appear white or charred Fourth degree burns: Fourth degree burns also damage the underlying bones, muscles, and tendons. There is no sensation in the area since the nerve endings are destroyed.